Which of the following is not an inotropic drug:
1. Amrinone
2. Isoprenaline
3. Amiodarone
4. Dopamine

Correct answer: 3. Amiodarone